Grotton papules are seen in?
1. SLE
2. Dermatomyositis
3. CREST syndrome
4. Rosacea

Correct answer: 2. Dermatomyositis

Explanation: Ans. is 'b' i.e., Dermatomyositis * Gottron's papules (lilac or violaceous papules on knuckles and dorsa of hands) are a characteristic feature of dermatomyositis.